Which of the following muscles are innervated by facial nerve?
1. Risorius, Anterior belly of digastric, Zygomaticus
2. Anterior belly of digastric, Lateral pterygoid, Auricular muscles
3. Zygomaticus, Risorius, Auricular muscles
4. Auricular muscles, Risorius, Lateral pterygoid

Correct answer: 3. Zygomaticus, Risorius, Auricular muscles

Explanation: Risorius: is a dilator muscle of the lip and supplied by facial nerve.Zygomaticus major and minor (Dilator muscle of the lip) are supplied by the facial nerve.Auricularis anterior, superior and posterior are supplied by the facial nerve.Infact, all facial muscles (including muscle of the scalp, muscle of auricle, muscle of eyelid, muscle of nose, muscle around the mouth and muscle of the neck) are supplied by the facial nerve (motor supply). The trigeminal nerve is the chief sensory nerve of the face.Note: "Anterior belly of the digastric is supplied by the nerve to mylohyoid whereas posterior belly is supplied by the facial nerve". "Muscles of the mastication (lateral pterygoid, medial pterygoid, masseter and temporalis) are supplied by the mandibular division of trigeminal nerve" Ref: Snell's Anatomy 8/e, Page 732-33 ; BDC 4/e, Vol. III 138-141